Rees-Elswoh classification is used for:
1. BCC eyelid
2. Melanoma of choroid
3. Retinoblastoma
4. Hepatoblastoma

Correct answer: 3. Retinoblastoma

Explanation: Retinoblastoma